A child has recurrent abdominal pain & biliolus vomiting. The condition was diagnosed by barium follow through. Surgical procedures followed - Lad's band division , appendectomy & mesenteric widening, diagnosis is
1. Duodenal web
2. Acute appendicitis
3. Malrotation
4. Caecal volvulus

Correct answer: 3. Malrotation

Explanation: C i.e. MalrotationSudden onset of bilious emesis (vomiting) in newborn (d/t acute obstruction) or recurrent abdominal pain with bilious vomiting in childQ (d/t chronic obstruction) is the classical presentation of malrotation. The condition, can be diagnosed by barium follow through or USG by demonstrating 'S' shaped duodenum & abnormal position of ligament of Treitz. It is managed by Ladd's procedure (i.e. division or lysis of Ladd's band, broadening of mesentery base to reduce the incidence of volvulus and incidental appendectomyQ)